Kit B given at subcentre -
1. Vit A
2. ORS
3. Paracetamol
4. Iron

Correct answer: 3. Paracetamol

Explanation: Ans. is 'c' i.e., Paracetamol o Sub-center kit A contains :-{i) iron (Ferrous sulphate) & folic acid; (ii) Zinc sulphate; (iii) Cotrimoxazole; (iv) Vitamin A; (v) ORS; and (vi) Gentian violet crystals.o Sub-center kit B contains:- (i) Paracetamol; (ii) Dicyclomine hydrochloride; (iii) Albendazole; (iv) Methylergometrine: (v) Povidone iodine ointment: (vi) Chloramphenicol eye ointment; (vii) Rolled bandage; and (viii) Absorbent cotton wool.